Protein quality assessment is best done by –
1. NPU
2. Biological value
3. Digestibillity coefficient
4. Amino acid score

Correct answer: 1. NPU

Explanation: Net protein utilization is considered to be most practile because it is the product of biological value and digestibility coefficient divided by 100.